Hemochromatosis is a defect in metabolism of ?
1. Iron
2. Copper
3. Magnesium
4. Calcium

Correct answer: 1. Iron

Explanation: Ans. is `a' i.e., Irono Hemochromatosis is characterized by the excessive accumulation of body iron, most of which is deposited in parenchymal organs such as the liver and pancreas.